What happens to shoulder joint when there is a fall in outstretched hand
1. Internal rotation,adduction
2. External rotation, adduction
3. External rotation, abduction
4. Internal rotation, abduction

Correct answer: 3. External rotation, abduction

Explanation: Abduction, external rotation and expension of shoulder while fall on outstretched hand causing anterior dislocation Most common type of dislocation of shoulder Ref: Maheshwari orthopedics 9th ed